Gastrointestinal stromal malignancy arises from which of the following
1. Smooth muscle
2. Nerve cells
3. Vascular endothelium
4. Interstial cells of cajal

Correct answer: 4. Interstial cells of cajal

Explanation: Refer Robbins page no Pg P775 Gastrointestinal stromal tumors (GISTs) may be malignant (cancer) or benign (not cancer). They are most common in the stomach and small intestine but may be found anywhere in or near the GI tract. Some scientists believe that GISTs begin in cells called interstitial cells of Cajal (ICC), in the wall of the GI tract.